Which of the areas of the tooth is most sensitive during cavity preparation?
1. Enamel (anterior teeth)
2. Enamel (Posterior teeth)
3. Dentin
4. Dentinoenamel junction

Correct answer: 4. Dentinoenamel junction